Features in favour of ventricular tachycardia are all the following except
1. AV dissociation
2. Capture/fusion beat
3. Good response to carotid sinus massage
4. A history of myocardial infarction

Correct answer: 3. Good response to carotid sinus massage

Explanation: Features in favour of ventricular tachycardia are the D/D of broad complex tachycardia : History of Myocardial Infarction AV dissociation (pathognomonic) Capture/fusion beats (pathognomonic) Extreme left axis deviation Very broad QRS complexes No response to carotid sinus massage or IV adenosine Ref - Harrison's internal medicine 20e pg1750